Exotropia occurs due to
1. Third nerve palsy
2. Optic neuritis
3. Abducens injury
4. Papilloedema

Correct answer: 1. Third nerve palsy

Explanation: Answer- A. Third nerve palsyCauses and associations ofexotropia (Divegent squint)Third nerve palsyCongenitalPrevious strabismus surgeryThyroidophthalmopathyIatrogenic trauma following retinal detachment surgery